Commonly used in narco-analysis:
1. Atropine sulfate
2. Scopolamine hydrobromide
3. Opium compounds
4. Phenobarbital

Correct answer: 2. Scopolamine hydrobromide

Explanation: Ans. Scopolamine hydrobromide